Which ca has the best prognosis -
1. Carcinoma Lip
2. Carcinoma Cheek
3. Carcinoma Tongue
4. Carcinoma palate

Correct answer: 1. Carcinoma Lip

Explanation: Carcinoma of the oral cavity

A most common type of carcinoma of the oral cavity is squamous cell carcinoma
In the oral cavity, tongue (30%) is the most common site followed by the lip (17.4%) and the floor of mouth (16.4%)
The mortality from squamous carcinoma also varies by the site in the mouth, with the lowest mortality from lip cancer and the highest for cancer of the Tongue.